Which is not a true arterial anastomosis?
1. Uterine and ovarian arteries
2. Intercostal artery
3. Labial artery
4. Cerebral cortical arteries

Correct answer: 4. Cerebral cortical arteries

Explanation: Ref: Gray's Anatomy. 39th edition, 2008, Cage 303Explanation:Anastomosis between cerebral cortical arteries are NOT true anastomosis.Long cortical branches traverse the cortex and penetrate the subjacent white matter for 3 or 4 cm without communicating.Short cortical branches are confined to the cerebral cortex, and form a compact network in the middle zone of the grey matter.Although adjacent vessels anastomose on the surface of the brain, they become end arteries as soon as they enter it.Superficial anastomoses only occur between microscopic branches of the cerebral arteries, and there is little evidence that they can provide an effective alternative circulation after the occlusion of larger vessels.END ARTERIESArteries which do not have true anastomosis.Examples are:o Central artery of Retinao Central branches of cerebral arteryo Vasa recta of mesenteric artery.Arteries of:o Spleeno Liver.o Kidneyso Lungs.o Metaphvsis of long bone.Arterial AnastomosisArteries do not end always in capillaries.They unite with one another forming anastomosis.Common sites of anastomosis:o Coronary artery.o Cortical arteryo Arteries around joints.TYPES OF ANASTOMOSISEnd to End AnastomosisLabial branches of facial artery.Intercostal artery.Uterine artery.Ovarian artery.Arterial arcades in mesentry.Arteries of greater and lesser curvature of stomach.Palmar and Plantar arches.Convergent AnastomosisVertebral arteries to form basilar arteryTransverse AnastomosisBetween anterior communicating arteries.Between radial and ulnar arteries at wrist.